Chronic persistent hepatitis and hepatitis are differentiated by -
1. Anti-SM
2. CRP
3. Arthritis
4. Liver biospy

Correct answer: 4. Liver biospy

Explanation: chronic hepatitis &hepathitis is differentiated by liver biopsy